Most sensory information reaches the cortex after first being processed by the:
1. Basal ganglia
2. Brain stem
3. Thalamus
4. Cerebellum

Correct answer: 3. Thalamus

Explanation: (C) Thalamus > There is a major input from the anterolateral systems into the mesencephalic reticular formation. Thus, sensory input activates the reticular activating system, which in turn maintains the cortex in the alert state.